Disinfection of root canal obtained with
1. Irrigation
2. Debridement
3. Intracanal medicament
4. All of above

Correct answer: 4. All of above